Alpha helix is stabilized by?
1. Disulfide linkage
2. Covalent bonding
3. Hydrophobic interactions
4. Hydrogen bonds

Correct answer: 4. Hydrogen bonds

Explanation: Secondary Structure includes * Alpha helix * Beta pleated sheet * Beta bend or turn * Alpha chain in collagen (not alpha helix) Structure Bonds Primary structure Covalent/amide/peptide bond Secondary structure Hydrogen bonds Tertiary structure Disulphide, Hydrogen, Hydrophobic and Ionic bond Quaternary structure Hydrogen, hydrophobic and ionic bond